A dead body is having cadaveric lividity of bluish green colour. The most likely cause of death is by poisoning due to
1. Hydrocyanic acid
2. Hydrogen sulphide
3. Oleander
4. Sodium nitrite

Correct answer: 2. Hydrogen sulphide

Explanation: B i.e. Hydrogen sulphide